Commotio retinae is seen in:
1. Concussion injury
2. Retinopathy of AIDS
3. Central vein thrombosis
4. Central artery thrombosis

Correct answer: 1. Concussion injury

Explanation: Ans. Concussion injury